Rizatriptan is a drug used for?
1. Prophylaxis of migraine
2. Acute migraine
3. Cluster headache
4. Chronc migraine

Correct answer: 2. Acute migraine

Explanation: Ans. (b) Acute migraineRefiHarrison's 18/e, ch 14